Lymph from the teeth drains into all of the following nodes, except:
1. Submandibular nodes
2. Deep cervical nodes
3. Retropharyngeal nodes
4. Submental nodes

Correct answer: 3. Retropharyngeal nodes

Explanation: Retropharyngeal nodes, drain the pharynx, auditory tube, nose and palate. So, these nodes does not drain teeth.